An 8 month old female has history of kernicterus. On sudden movement of the  baby’s neck, the following features were seen abduction and extension of the arms, opening of hands and adduction of arms in front of the body.
Which reflex is elicited in this infant?
1. Moro’s reflex
2. Startle reflex
3. Asymmetric tonic reflex
4. Parachute reflex

Correct answer: 1. Moro’s reflex

Explanation: The Moro reflex is elicited by supporting the infant in a semierect position and then allowing the infant’s head to fall backwards onto the examiner’s hand. A normal response consists of symmetric extension and abduction of the fingers and upper extremities, followed by flexion of the upper extremities and an audible cry. An asymmetric response can signify a fractured clavicle, brachial plexus injury, or hemiparesis. Absence of the Moro reflex in a term newborn is ominous, suggesting significant dysfunction of the CNS.